Lingua nigra is :
1. Familial dysautonomia.
2. Hairy tongue.
3. Migratory glossitis.
4. Median rhomboid glossitis.

Correct answer: 2. Hairy tongue.